Function of ASHA -
1. Mobilization of institutional deliveries
2. Conduction of Home delivery
3. Give Immunization at birth
4. Provide DEC for filarial treatment

Correct answer: 1. Mobilization of institutional deliveries

Explanation: Ans. is 'a' i.e., Mobilization of institutional deliveries Activities performed by ASHAso Mobilizing pregnant mothers for ANC and escorting them for institutional deliveryo Mobilizing children & mothers for immunizationo Conducting home visits & surveyso DOTS provider.o Salt testing & water testingo Conducting VHSC meetings.o Organizing VHND & other health activities in the villageo Motivator of family planningo Depot holder of basic drugso Promoter of healthy lifestyleo Assisting ANM in home deliveries.Note: ASHA mobilizes mother and children for immunization, but she herself does not give vaccines.